In mercury poisoning, brown reflex is from:
1. Anterior cornea
2. Posterior cornea
3. Anterior lens capsule
4. Posterior lens capsule

Correct answer: 3. Anterior lens capsule

Explanation: Ans. Anterior lens capsule